Which of the following drug is specifically for Her 2 positive breast carcinoma is:
1. Trastuzumab
2. Tamoxifen
3. Exemestane
4. Fulvestrant

Correct answer: 1. Trastuzumab

Explanation: Monoclonal antibody against HER2/neu receptor are:- Trastuzumab Pertuzumab S/E:- Cardiotoxic Tamoxifen:- Antagonist on estrogen receptor expressed in mammary tissue. - Agonist on estrogen receptor in bone - Useful not only in treatment and prophylaxis of breast cancer but also in prevention of osteoporosis Exemestane:- a steroid molecule, irreversible inhibitor of aromatase(enzyme required for estrogen synthesis) Fulvestrant:- Pure estrogen receptor antagonist(Selective estrogen receptor down regulator)